Ehrlich phenomenon is seen in:-
1. Proteus
2. Mycobacterium TB
3. Corynebacterium
4. Staphylococcus

Correct answer: 3. Corynebacterium

Explanation: Ehrlich phenomenon is seen in Corynebacterium. Option 1, 2, 4 Proteus, Mycobacterium species and Staphyococcus species: Do not show Ehrlich phenomenon. Proteus shows Diene's phenomenon. Option 3 Difference due to the presence of toxin preparation of varying amounts of toxoid and antitoxin to combine in varying proportions is called Ehrlich phenomenon. Minimum lethal dose (MLD) of the diphtheria toxin as the least amount of toxin required to kill a guinea pig weighing 250 g within 96 hrs after subcutaneous inoculation. One unit of antitoxin is defined as the smallest amount of antitoxin required to neutralize 100 MLD of toxin.